Best disinfectant for cholera stools is
1. Bleaching powder
2. Coal-tar
3. Cresol
4. Formalin

Correct answer: 3. Cresol